Which of the following drugs are belived to be effective in the treatment of post-operative shivering!
1. Ondansetron
2. Diclofenac
3. Pethidine
4. Paracetamol

Correct answer: 3. Pethidine

Explanation: Ans. is 'c' i.e., Pethidine o Pethidine is most effective drug for treatment of PAS (Post-anaesthesia shivering). o Other drugs used are --clonidine, doxapram, ketanserin, alfentonil, butorphanol, chlorpromazine.